Most common source of infection for whooping cough-
1. Chronic carrier
2. Acute carrier
3. Case
4. Convelescent carrier

Correct answer: 3. Case